Bromocriptine is indicated in the following conditions except -
1. Prolactin -secreting adenomas
2. Prolactin deficiency
3. Amenorrhea - Galactorrhea
4. Acromegaly

Correct answer: 2. Prolactin deficiency

Explanation: Ans. is 'b' i.e., Prolactin deficiency Bromocriptine is used in :-Suppression of lactation in galactorrheaCyclical mastalgiaInduction of ovulation in anovulatory infertility caused by hyperprolactinemiaParkinsonismAcromegaly due to small pitutary tumoursHepatic comaRecently, it has been approved for treatment of type 2 DM.